Simple squamous epithelium is seen in?
1. Blood vessel
2. Thyroid folicle
3. Esophagus
4. Hard palate

Correct answer: 1. Blood vessel

Explanation: Ans. (a) Blood vessel